Congenital heart disease associated with decreased pulmonary blood flow
1. Truncus arteriosus
2. TAPVC
3. Ebstein's anomaly
4. Complete TGA

Correct answer: 3. Ebstein's anomaly

Explanation: Answer is C (Ebstein's anomaly) Ebstein's anomaly and single ventricle with pulmonic stenosis are associated with normal or decreased pulmonary blood flow Truncus Arteriosus, complete TGA and TAPVC are associated with increased pulmonary blood flow. Cyanotic Congenital Heart Disease Increased pulmonary blood flow Normal or decreased pulmonary blood flow I. Complete transposition of the great arteries I. Tricuspid atresia 2. Double- outlet right ventricle of the Taussing- Bing type 2. Ebstein's anomaly with right- to-let arterial shunt 3. Truncus arteriosus 3. Pulmonary atresia with intact ventricular septum 4. Total anomalous pulmonary venous connection 4. Pulmonic stenosis or atresia with ventricular septal defect (tetralogy of Fallot) 5. Single ventricle without pultnonic. stenosis 5. Pulmonic stenosis with Right -- to -- Left arterial shunt 6. Common atrium 6. Complete transposition of the great arteries with pulmonic stenosis 7. Tetralogy of Fallot with pulmonary atresia and increased collateral arterial flow 7. Double -- Outlet right ventricle with pulmonic stenosis 8. Tricuspid atresia with large ventricular scptal defect and no pulmonic stenosis 8. Single Ventricle with pulmonic Stenosis 9. Hypoplastic 10 heart (aortic atresia, itral atresia) 9. Pulmonary arteriovenous fistula 10. Vena Cava! to left arterial communication